All of the following statements regarding the ECG changes in acute pericarditis are true, except:
1. Sinus tachycardia is a common finding
2. PR segment depression is present in majority of patients
3. Global ST segment elevation is seen in early pericarditis
4. T wave inversions develop before ST elevation return to baseline

Correct answer: 4. T wave inversions develop before ST elevation return to baseline

Explanation: In acute pericarditis, T wave inversion occur only after the ST segment return to the baseline level. Ref: Practical ECG Interpretation: Clues to Heart Disease in Young Adults By George Stouffer, Page 124